All of the following structures lie in the renal medulla, Except
1. Juxtaglomerular apparatus
2. Loop of Henle
3. Collecting duct
4. Vasa Recta

Correct answer: 1. Juxtaglomerular apparatus

Explanation: Ans. (a) Juxtaglomerular apparatus(Ref: Ganong, 25th ed/p.672)Structures that lie in renal medulla are,#Loop of Henle#Medullary collecting duct#Vasa recta